Corneal stroma is made from -
1. Neural Crest
2. Surface ectoderm
3. Mesoderm
4. Yolk sac

Correct answer: 1. Neural Crest

Explanation: Ans. is A. Precursor Derivatives Neural ectoderm Smooth muscle of the iris, opticle vesicle and cup, iris epithelium, ciliary epithelium, Part of the vitreous, Retina, Retinal pigment epithelium, fibres of the optic nerve. Surface ectoderm Conjunctival epithelium, Corneal epithelium, Lacrimal glands, Tarsal glands, Lens. Mesoderm Extraocular muscles, , , Vascular endothelium, Choroid, Part of the vitreous. Neural crest Corneal stroma, keratocytes and endothelium, Sclera, Trabecular meshwork endothelium, Iris stroma, Ciliary muscles, Choroidal stroma, Part of the vitreous, Uveal and conjunctival melanocytes, Meningeal sheaths of the optic nerve, Ciliary ganglion, Schwann cells, orbital bones, Orbital connective tissue, Connective tissue sheath and muscular layer of the ocular and orbital blood vessels.